The lab reports of a patient given below pH = 7.2 HCO3 = 10 mEq/L PCO2 = 30 mmHg This exemplifies which of the following disorder
1. Respiratory acidosis
2. Respiratory alkalosis
3. Metabolic acidosis
4. Metabolic alkalosis

Correct answer: 3. Metabolic acidosis

Explanation: Parameters normal values Blood Ph 7.35-7.45 HCO3 22-26 meq/L(avg=24meq) PCO2 35-45mmhg CHLORIDE 96-106 meq/l PO2 60-100 mmhg In given scenerio ph=7.2 indicating acidosis . Bicarbonate is significantly reduced that is 10 mmhg indicating metabolic acidosis. Decreased HCO3- Increased excretion of NH4Cl occurs with renal compensation for the acidosis Respiratory compensation for the acidosis increases the ventilation rate, resulting in Decreased plasma Pco2.